True statement regarding 'at risk baby':
1. Birth weight less than 2.75 kg
2. Weight less than 70% of the expected weight
3. Birth order more than 3
4. Ist degree malnutrition

Correct answer: 2. Weight less than 70% of the expected weight

Explanation: Ans. B: Weight less than 70% of the expected weightThe basic criteria for identifying 'at risk' babies include:Birth weight less than 2.5 kg.TwinsBirth order 5 and moreArtificial feedingWeight below 70% of the expected weight (II and III degrees of malnutrition)Failure to gain weight during three successive monthsChildren with diarrhea, PEMWorking mother/ one parent